Growth hormone secretion, true is
1. Continuous secretion
2. Stimulated by somatostatin
3. Stimulated by glucose
4. Stimulated by exercise

Correct answer: 4. Stimulated by exercise

Explanation: Growth hormone (GH), also known as somatotropin (or as human growth hormone in its human form), is a peptide hormone that stimulates growth, cell reproduction, and cell regeneration in humans.A number of factors are known to affect GH secretion, such as age, sex, diet, exercise, stress, and other hormones. Young adolescents secrete GH at the rate of about 700 mg/day, while healthy adults secrete GH at the rate of about 400 mg/day. Sleep deprivation generally suppresses GH release, particularly after early adulthood.Stimulators of growth hormone (GH) secretion include:peptide hormones GHRH, Ghrelinsex hormonesincreased androgen secretion during puberty (in males from testis and in females from adrenal cortex)estrogeNdeep sleepfastingvigorous exerciseInhibitors of GH secretion include:GHIH (somatostatin) from the periventricular nucleuscirculating concentrations of GH and IGF-1 (negative feedback on the pituitary and hypothalamus)hyperglycemiaglucocorticoidsdihydrotestosteroneRef: Ganong's review of medical physiology;24th edition; page no-330